Which of the following is not a part of Kuppuswamy's socio-economic status scale:
1. Education
2. Occupation
3. Income
4. Housing

Correct answer: 4. Housing

Explanation: Ans. D: Housing Kuppuswamy scale includes education of the head of family, occupation of the head of family and income of the family per month Kuppuswami scale It is widely used to measure the socio-economic status of an individual in urban community based on three variables namely education, occupation and income. The modification of Kuppuswami scale meant to determine the socioeconomic status of family based on education and occupation of head of the family and per capita income per month has also been widely used. Recently, Mishra et al have suggested an economic revision of Kuppuswami's scale in order to account for the devaluation of rupee and is proposed to measure the socio-economic status of the family and is neither based on the individual nor on the head of the family